Interaction involved in primary structure of protein
1. Hydrogen bond
2. Disulfide bond
3. Peptide bond
4. Electrostatic bond

Correct answer: 3. Peptide bond

Explanation: Primary Structure: Primary structure is the linear sequence of amino acids held together by peptide bonds in its peptide chain. The peptide bonds form the backbone and side chains of amino acid residues project outside the peptide backbone. The free -NH2 group of the terminal amino acid is called as N-terminal end and the free -COOH end is called as C-terminal end. It is a tradition to number the amino acids from N-terminal end as No. 1 towards the C-terminal end. Presence of specific amino acids at a specific number is very significant for a particular function of a protein. Any change in the sequence is abnormal and may affect the function and properties of protein.Ref: Textbook of medical biochemistry, MN Chatterji, 8th edition, page no: 89